What is the diagnosis for this patient with end-stage renal disease who developed skin changes after an imaging procedure?
1. Actinic elastosis
2. Calciphylaxis
3. Nephrogenic systemic fibrosis
4. Porphyria cutanea tarda

Correct answer: 3. Nephrogenic systemic fibrosis

Explanation: Answer C. Nephrogenic systemic fibrosisThere is thickening of the skin of the arm, most prominent over the flexures of the wrists and elbows and the area between the thenar and hypothenar prominences. These are typical features of nephrogenic fibrosing dermopathy which is characterized by diffuse, cutaneous, hyperpigmented, brawny induration, erythematous or skin-colored plaques with irregular borders with ameboid projections, firm discrete papules, and subcutaneous nodules. It appears to be associated with exposure to gadolinium used to perform magnetic resonance imaging.